Veronica’s parents were told that their daughter needs ribavirin (Virazole). This drug is used to treat which of the following?
1. Cystic fibrosis
2. Otitis media
3. Respiratory syncytial virus (RSV)
4. Bronchitis

Correct answer: 3. Respiratory syncytial virus (RSV)

Explanation: Option C: Ribavirin is an antiviral medication used for treating RSV infection and for children with RSV who are compromised (such as children with bronchopulmonary dysplasia or heart disease).
Options A, B, and D: The drug is not used to treat bronchiolitis, otitis media, or CF.